Cavernous sinus thrombosis happens when infection reaches at
1. Ethmoidal vein.
2. Maxillary sinus
3. Pterygoid plexus of vein.
4. Submental lymph nodes.

Correct answer: 3. Pterygoid plexus of vein.